True statement regarding Medical abortion is:
1. It can be performed upto 9 weeks of gestation
2. It can be administered by any registered medical practitioner
3. It is exempted from the control of MTP act
4. Its an approved method of emergency contraception in India

Correct answer: 1. It can be performed upto 9 weeks of gestation

Explanation: Medical abortion can be done up to 9 weeks (63 days) MTP with surgical techniques can be done up to 20 weeks (Not 24 weeks in INDIA still... the suggestion of 24 weeks is still a proposal, not an act ) Abortion, even if done prior to 9 weeks and with only using drugs, is still a termination of pregnancy and can be life threatening if not done properly. It is under the purview of the MTP act and has to be strictly managed by a gynecologist after complete counselling of the procedure and possible complications that can arise in the patient.